Schirmer test is used for testing function of which of the following cranial nerve?
1. V
2. VII
3. IX
4. X

Correct answer: 2. VII

Explanation: The Schirmer test for the eye quantitatively measures tear formation placement of filter paper in the lower conjunctival sac. The test result is positive when less than 5 mm of paper is wetted after 5 minutes. It evaluates the function of the greater superficial petrosal branch. Ref: Chang D.F. (2011). Chapter 2. Ophthalmologic Examination. In P. Riordan-Eva, E.T. Cunningham, Jr. (Eds), Vaughan & Asbury's General Ophthalmology, 18e.